Mitsuda reaction is read after:
1. 3 days
2. 3 hours
3. 3 weeks
4. 3 months

Correct answer: 3. 3 weeks

Explanation: Lepromin Test is type IV HSR It is a PROGNOSTIC test not a diagnostic test 2 reactions are seen in Lepromin test- Early Reaction/ Fernandez- Erythema and induration develops in 24-48 hours and remain for 3-5 days and it is read after 3 days Late Reaction/Mitsuda Reaction- It starts in 1-2 weeks, reaching a peak in 4 weeks and this is read after 3 weeks